All are true about Langerhans' histocytosis except?
1. Common before 3 years of age
2. Letterer Siwe disease is systemic manifestation
3. Radio sensitive
4. Testis is commonly involved

Correct answer: 4. Testis is commonly involved

Explanation: D. i.e. Testis is commonly invoved